Which factor of S.Aureus is responsible for Coagglutination reaction?
1. Protein-A
2. Clumping factor
3. Hemolysin
4. Techoic acid

Correct answer: 1. Protein-A

Explanation: Protein-A binds to Fc region of IgG leaving Fab region free to bind to an antigen, forming the basis of coagglutination reaction.